Chronic burrowing ulcer is caused by?
1. Microaerophilic streptococci
2. Peptostreptococcus
3. Streptococcus viridians
4. Streptococcus pyogenes

Correct answer: 1. Microaerophilic streptococci